Laser capsulotomy is treatment of choice for ?
1. POAG
2. Phacolytic glaucoma
3. Posterior capsular after cataract
4. Closed angle glaucoma

Correct answer: 3. Posterior capsular after cataract

Explanation: Ans. is 'c' i.e., Posterior capsular after cataract Thin membranous after cataract and thickened posterior capsule are best treated by YAG-laser capsulotomy or discission with cystitome or Zeigler's knife.